70 kg man was given a drug in the dose of 100 mg/kg body weight. It's t1/2 is 10hours, initial plasma concentration is 1.9mg/ml. True statement is
1. CL is 0.02 litre/hr
2. CL is 20litre/hr
3. k is 0.0693
4. k is 6.93

Correct answer: 3. k is 0.0693

Explanation: In this patients total dose of drug administered =70 x 100 mg = 7000 mg Plasma concentration is 1.9 mg/ml Total dose administered So, volumeof distribution (Vd)= Total dose administered /Plasma concentration =7000/1.9 Again, t/2 =0.693 x(Vd/CL) Where, Vd= Volume of distribution CL = Clearance Thus, CL= 0.693x(V/t1/2) = ( 0.693/10)x(7000/1.9) = 255.3 ml/hr ~0.2 L/hr t1/2= 0.693/k k=0.693/t1/2 k=0.693/10=0.0693 Ref-KDT 7/e p30-31